Disease associated with excessive maize diet ?
1. Wernicke's encephalopathy
2. Pellagra
3. Beri-Beri
4. Scurvy

Correct answer: 2. Pellagra

Explanation: Ans. is 'b' i.e., Pellagra Excess of Leucine interferes in conversion of Tryptophan into Niacin, and aggravates the pallagrogenic action of maize. Similar to maize, Jowar also contains excess of leucine. Leucine interferes with conversion of tryptophan to niacin. Pellagra has been reported in India in Telangana area of Andhra Pradesh because of Jower (Sorghum vulgare) consumption.